A case of acute flaccid paralysis must be observed for how many days for residual weakness
1. 30 days
2. 42 days
3. 60 days
4. 90 days

Correct answer: 3. 60 days

Explanation: Ans. is 'c' i.e., 60 days